Homonymous hemianopia with usually sparing of the macula is seen in lesions of:
1. Geniculate body
2. Optic radiations
3. Visual cortex
4. All of the above

Correct answer: 3. Visual cortex

Explanation: Ans. Visual cortex